All are to access platelet functions except ?
1. Prothrombin time
2. Bleeding time
3. Clot retraction time
4. all

Correct answer: 1. Prothrombin time

Explanation: Ans. is 'a' i.e., Prothrombin time